Appendix of testis is derived from?
1. Mesonephric duct
2. Hind gut
3. Cloaca
4. Paramesonephric duct

Correct answer: 4. Paramesonephric duct

Explanation: See APPENDIX-5 below for "ADULT DERIVATIVES AND VESTIGIAL REMAINS OF EMBRYONIC UROGENITAL STRUCTURES”